A child has to be given premedication for behaviour
modification, which is the most preferred route?
1. Oral
2. Intravenous
3. Intramuscular
4. Intramucosal

Correct answer: 1. Oral